Antiparkinson drug known to cause cardiac valvular fibrosis is ?
1. Levodopa
2. Ropinrole
3. Pramiprexole
4. Pergolide & cabergo line

Correct answer: 4. Pergolide & cabergo line

Explanation: Ans. is 'd' i.e., Pergolide & cabergoline o Ergot-containing dopamine receptor agonists used for Parkinson's disease (pergolide, cabergoline, bromocriptine) cause valvular heart disease that closely resembles that seen in the carcinoid syndrome. o Metabolites of fenfluramine, as well as the dopamine receptor agonists, have high affinity for serotonin receptor subtype 5-HT2B receptors, whose activation is known to cause fibroblast mitogenesis. Serotonin receptor subtypes 5-HTI81 D2A2B normally are expressed in human heart valve intersitial cells. o High levels of HT2B receptors are known to occur in heart valves and occur in cardiac fibroblasts and cardiomyocytes.